Na-K ATPase
1. 3 Na out / 2K in
2. 3Na in / 2K out
3. 2Na out / 3K in
4. 2Na in / 3K out

Correct answer: 1. 3 Na out / 2K in

Explanation: Na+-K+ATPase, which actively moves Na+and K+ against their electrochemical gradient. The electrogenic Na K ATPase plays a critical role in cellular physiology by using the energy in ATP to extrude 3 Na+ out of the cell in exchange for taking two K+ into the cell. (REF.GANONG'S REVIEW OF MEDICAL PHYSIOLOGY 23rd EDITION page no.85.)